The most common presentation of adult rhinosporidiosis is
1. Anosmia
2. Polypoid mass
3. Pain
4. Halitosis

Correct answer: 2. Polypoid mass

Explanation: Most common presentation of adult rhinosporidiosis is the protruding polypoidal mass through the nares and multiple site involvement. In the early stages, the patient may complain of nasal discharge which is often blood tinged and nasal stuffiness. Sometimes, frank epistaxis is the only presenting complaint.